Time of occurence of secondary haemorrhage after tonsillectomy -
1. 24 hrs
2. 6 days
3. 12 days
4. 12 hrs

Correct answer: 2. 6 days

Explanation: Secondary hemorrhage after tonsillectomy is seen between 5th to 10th post-operative days. Infection in tonsillar fossa is the cause of secondary hemorrhage.